Which of the following is most sensitive to radiation induced cancer?
1. Skin
2. Thyroid
3. Nerve
4. Female breast

Correct answer: 4. Female breast